Amebic abscess is caused by -
1. Staph. Aureus
2. Entamoeba histlytica
3. Influenza
4. Echinococcus granulosus

Correct answer: 2. Entamoeba histlytica

Explanation: Some individuals with intestinal amoebiasis develop hepatic amoebiasis.Amoebic liver abscess is formed .It may occur in any part of the liver but it is generally confined to posteriosuperior surface of right lobe of liver (refer pgno:18 baveja 3 rd edition)